Microlaryngoscopy is usually done with an objective lens with focal length of:
1. 200 mm
2. 400 mm
3. 100 mm
4. 300 mm

Correct answer: 2. 400 mm

Explanation: - Surgical microscopeshave the ability to fine focus with focal lengths that may vary from the standard microlaryngeal surgical focal length of 400 mm.